Fetal ovary can produce estrogen by:
1. 6 weeks
2. 8 weeks
3. 10 weeks
4. 12 weeks

Correct answer: 2. 8 weeks

Explanation: Ans. is b, i.e. 8 weeksRef: William Gynae 3rd/ed, p350"In utero, the fetal human ovary has the capacity to produce estrogen by 8 weeks of gestation"